Chimney Sweeper cancer is the other name for
1. Carcinoma scrotum
2. Carcinoma lung
3. Carcinoma skin
4. Carcinoma testis

Correct answer: 1. Carcinoma scrotum

Explanation: Ref: Park's textbook of Preventive and Social Medicine 25th Ed